Water soluble form of Vitamin K
1. Phylloquinone
2. Menaquinone
3. Menadione
4. None

Correct answer: 3. Menadione

Explanation: Ans. (c) Menadione Ref: Harper's Biochemistry 30th edn. 1554 * Menadione is the water soluble form of vitamin K. Forms of VITAMIN K Vitamin K1 Vitamin K2 Vitamin K3 Aka Phylloquinone Menaqui- none Menadione Source Several green vegetables and prepared synthetically Synthesized by Gl bacteria, supplies 50% human requirement Synthetic, Analog of 1,4-naphtho- quinine Solubility Fat soluble Fat soluble Diphosphate salt is Water soluble * Vitamin K Is the Coenzyme for Carboxylation of Glutamate in Postsynthetic Modification of Calcium Binding Proteins. Vitamin K Is Also Important in Synthesis of Bone Calcium Binding Proteins. * Dicumarol is an anticoagulant that functions as a vitamin K antagonist.